Indications for termination of pregnancy are all except
1. Aortic stenosis
2. Eisenmengers syndrome
3. Tricuspid stenosis
4. NYHA grade 4 heart disease

Correct answer: 3. Tricuspid stenosis

Explanation: Heart disease in which Termination of pregnancy is advised Pulmonary hypertension- primary or secondary Marfans syndrome with aorta involvement Eisenmenger syndrome Any heart disease which belongs to NYHA Class 3 or 4 Ejection fraction < 40% Severe aortic stenosis or Severe mitral stenosis Previous peripartum cardiomyopathy with any residual impairment of LV function. ABSOLUTE INDICATIONS OF TERMINATION OF PREGNANCY Primary Pulmonary HTN Eisenmenger's Syndrome Pulmonary veno-occlusive disease. Reference: William's Obstetrics; 24th edition; Chapter 49